Chromium deficiency may lead to:-
1. Insulin dysfunction
2. Cardiomyopathy
3. Endocarditis
4. External ophthalmoplegia

Correct answer: 1. Insulin dysfunction

Explanation: NUTRITIONAL DEFICIENCIES:- Chromium deficiency causes Insulin dysfunction resulting in Glucose intolerance. Copper deficiency causes : Neutropenia Selenium deficiency : Endemic cardiomyopathy (Keshan's disease) Zinc deficiency : growth failure, delayed wound healing, pernicious anemia Molybdenum deficiency: mouth and esophageal cancer Vit E deficiency : Progressive external ophthalmoplegia.